Tumor lysis syndrome is characterized by:
1. Hyperkalemia
2. Hyperphosphatemia
3. Hyperuricemia
4. All of the above

Correct answer: 4. All of the above

Explanation: Ans. D. All of the aboveTumor lysis syndrome is an oncologic emergency. Tumor lysis syndrome refers to the constellation of metabolic disturbances that occurs when large numbers of neoplastic cells are killed rapidly, leading to the release of intracellular ions and metabolic by-products into the systemic circulation. Clinically, the syndrome is characterized by rapid development of hyperuricemia, hyperkalemia, hyperphosphatemia, hypocalcemia, and acute kidney injury.